Cock-up splint is used for:
1. Axillary nerve injury
2. Ulnar nerve injury
3. Median nerve injury
4. Radial nerve injury

Correct answer: 4. Radial nerve injury

Explanation: Ans. D: Radial Nerve Injury Brachial plexus injury-aeroplane splint Ulnar nerve injury-Knuckle bender splint For foot drop-Toe raising splint Radial nerve injury-cock-up splint